The most common anomaly of the upper urogenital tract is
1. Ureteropelvic junction stenosis
2. Ectopic uretheral opening
3. Ureterocele
4. Ectopic ureter

Correct answer: 1. Ureteropelvic junction stenosis

Explanation: UPJ stenosis is the most common abnormality in childhood and is more frequent in male children, characterized by narrowing usually on the left sideOverall, position & shape of the kidney being most common oneHorseshoe kidney is the most common and most frequently found renal abnormality among men.(Refer: OP Ghai's Textbook of Pediatrics, 8th edition, pg no. 470)